A group of experts discussing and interacting about a particular topic in presence of audience is:
1. Symposium
2. Workshop
3. Seminar
4. Panel discussion

Correct answer: 4. Panel discussion

Explanation: Panel discussion